In carcinoma of lower lip secondaries are seen in:
1. Submandibular LN
2. Preauricular LN
3. Mediastinal LN
4. Supraclavicular LN

Correct answer: 1. Submandibular LN

Explanation: (a) submandibular LN(Ref. Cummings, 6th ed., 1364)Nodal spread from carcinoma lower lip involves submental and submandibular lymph nodes (level 1).